All of the following are B cell markers, EXCEPT:
1. CD 10
2. CD 19
3. CD 20
4. CD 34

Correct answer: 4. CD 34

Explanation: CD34 is a stem cell marker. Surface markers expressed by myeloid and lymphoid cells (can be used to analyze origin of neoplastic cell): B-cell markers: CD10, CD19, and CD20 T-cell markers: CD2, CD3, CD4, CD7, and CD8 Lymphoblast: TdT Myeloid markers: CD13, CD14, CD15, and CD64 Stem cell marker: CD34 Ref: Wyatt C., Kemp W.L., Moos P.J., Burns D.K., Brown T.G. (2008). Chapter 12. Hematopathology. In C. Wyatt, W.L. Kemp, P.J. Moos, D.K. Burns, T.G. Brown (Eds), Pathology: The Big Picture.